TIPS is a type of
1. Non selective shunt
2. Selective shunt
3. Both selective and non selective shunt
4. Systemic shunt

Correct answer: 1. Non selective shunt

Explanation: TIPS is a non selective shunt, created between portal and hepatic vein TIPS is a portahepatic or intrahepatic shunt Ref: Sabiston 20th edition Pgno : 1439